Sickling in 'HbS' disease is primarily caused by
1. Decreased Solubility
2. Decreased Stability
3. Altered function
4. Altered 02 binding capacity

Correct answer: 1. Decreased Solubility

Explanation: A i.e. Decreased Solubility